Function of oxytocin
1. Milk ejection
2. Milk secretion
3. Ovulation
4. Maintenance of pregnancy

Correct answer: 1. Milk ejection

Explanation: Oxytocin - a hypothalamic hormone stored in and released from the posterior pituitary; it may also be prepared synthetically or obtained from the posterior pituitary of domestic animals. It acts as a powerful stimulant to the pregnant uterus, especially toward the end of gestation, and also causes milk to be expressed from the alveoli into the lactiferous ducts during breastfeeding.Ref: Ganong's review of medical physiology;24th edition; page no:-311